Features seen in common peroneal nerve injury:
1. Inversion inability
2. Loss of sensation of sole
3. Foot drop
4. All

Correct answer: 3. Foot drop

Explanation: C i.e. Foot drop- Common peroneal nerve injury (usually d/t fracture of head/neck fibula)Q results in foot & toe drop, loss of dorsiflexion of ankle, extension of finger and eversion of foot and loss of sensation in 1st web space, and anterolateral lower leg & dorsum of foot and toes.- In common peroneal nerve injury sensation of sole, lateral border & medial border & inversion & plantar flexion rmain normal.